Epithelial lining of lingual surface of epiglottis is:
1. Epithelial lining of lingual surface of epiglottis is:
2. Simple Cuboidal
3. Pseudostratified ciliated columnar
4. Stratified squamous epithelium

Correct answer: 4. Stratified squamous epithelium

Explanation: The lingual surface of the epiglottis and the true vocal cords are lined by stratified squamous epithelium. Epiglottis has a lingual and laryngeal surface. The laryngeal surface is lined by pseudostratified ciliated columnar epithelium. Beneath this epithelium in the lamina propria on the laryngeal side of the epiglottis, there are abundant tubuloacinar seromucous glands. Ref: DiFiore's Atlas of Histology with Functional Correlations: Victor P. Eroschenko, page 338